In the composition of normal air of the atmosphere at ground level in an unpolluted area, which one among the following is found inhighest concentration ?
1. Carbon dioxide
2. Hydrogen
3. Methane
4. Nitrous oxide

Correct answer: 1. Carbon dioxide

Explanation: The normal composition of external air by volume is nitrogen-78.1%,oxygen-20.93%, carbon dioxide- 0.03%, Argon 0.9%. Park's Textbook of Preventive and Social Medicine, 25th Edition, Pg 791